A patient presents with a platelet count of 700x109/L with abnormalities in size, shape and granularity of platelets. WBC count of 12x109 L, hemoglobin of 11g/dl and the absence of the Philadelphia chromosome. The most likely diagnosis would be-
1. Polycythemia vera
2. Essential thrombocythemia
3. Chronic myeloid leukemia
4. Leukemoid reaction

Correct answer: 2. Essential thrombocythemia

Explanation: Ans. (b) Essential thrombocythemia(Ref: Robbins 9th/pg 619-620; 8th/pg 629-630)In the given scenario, a patient presents with thrombocytosis with abnormalities in size, shape and granularity of platelets, with normal WBC count & hemoglobin and the absence of the Philadelphia chromosome. The most likely diagnosis in this case would be Essential Thrombocythemia